Wolff's law states that:
1. If a bone is continuously subjected to a particular stress it will adapt to become stronger to resist that loading
2. Only Diaphysis allows longitudinal growth in childhood
3. Any infection not showing periosteal reaction within 1 week of symptoms can be ruled out to be osteomyelitis
4. Angular deformities will progress till the closure of physis

Correct answer: 1. If a bone is continuously subjected to a particular stress it will adapt to become stronger to resist that loading

Explanation: Wolff's law.- it states that by progressive bone deposition on to one surface (to compression site) and resorption from other (tension site), it is responsible for the gross changes in the shape of bones which occur during development and adaptation of bone to applied loads It refers to over all consequences for the whole bone of the sum of all the units of remodelling activity which are occurring throughout the bone. It has usually predominant osteoclastic activity at tension site and osteoblastic activity at compression site.